Quadrate lobe of liver is present between
1. Groove for ligamentum tetes and gall
2. Inferior vena cava and fissure for ligamentum venousum
3. Groove for Inferior vena cava and fissure for ligamentum venousum
4. Pos hepatis and falciform ligament

Correct answer: 1. Groove for ligamentum tetes and gall

Explanation: Quadrate lobe of liver is present between groove for ligamentum tetes and gallbladder